Period of embryo is?
1. 4 to 16 weeks
2. Fertilization to 2 weeks
3. 2 to 8 weeks
4. 8 weeks to birth

Correct answer: 3. 2 to 8 weeks